Which of the following least likely to cause increase in bradykinin production?
1. Perindopril
2. Benzprindopril
3. Irbesartan
4. All of the above

Correct answer: 3. Irbesartan

Explanation: Ans 'c' i.e. Irbesartan AT-II antagonists (e.g. lrbesaan) do not inhibit ACE (rather they block AT-II receptor). o Therefore, they do not interfere with degradation of bradykinin and substance P (bradykinin and substance P are degraded by ACE). o For the same reason AT-II antagonists do not cause cough & angiodema (caused by ACE inhibitors)